Which of the following cranial nerve palsy leaves the eye "down and out"?
1. Trochlear
2. Oculomotor
3. Optic
4. Abducens

Correct answer: 2. Oculomotor

Explanation: CN3 lesion causes dilated pupil, down-and-out eye, droopy eyelid.